Which of the following is not a part of chest wall?
1. Pectoralis major
2. Pectoralis minor
3. Serratus anterior
4. Coracobrachialis

Correct answer: 4. Coracobrachialis

Explanation: Muscles of anterior compartment of arm are the coraccobrachialis, the biceps brchii and the brachialis. so, the choraccobrachialis is not consider to be the muscle of chest wall and it's ( coroccobrachialis ) origin is from the tip of the coracoid process of scapula and it's insertion is at the medial border of humerus. Ref : B D Chaurasia's Human Anatomy , seventh edition , volume 1 , pg, no., 90 ( table 8.1 )